Which assay is most likely to detect cocaine metabolites?
1. Semen
2. Saliva
3. Hair
4. Urine

Correct answer: 4. Urine

Explanation: Urine- All the listed body fluids are used to detect cocaine use, except for semen.- Blood and saliva will provide the best level of current usage, while urine assay will detect use over the preceding several days.- Hair analysis can reveal the drug over weeks or months, but has little clinical applicability. - Benzoylecgonine - major metabolite of cocaine, can usually be detected in urine for 48 to 72 hours after cocaine use